Which of the following toxins have similar action to viper  snake venom?
1. Yellow oleander
2. Semicarpar anacardium
3. Dauwolfia serpentine
4. Abrus precatorius

Correct answer: 4. Abrus precatorius

Explanation: Abrus precatorius
Cerbera thevetia
Semicarpur anacardium
Ricinus


Active principle
Abrin(toxalbumen)
Cerberine,Thevetin thevetoxin and nerifolin
Semicarpol,Bhilawanol
Ricin


Features
Similar to viperine snake
Arrhythmias cause of death is hyperkalemia
Used for artificial bruise
Diarthea Biological  weapon